Which is not seen in polycythemia vera :
1. Increased vitamin B12 binding capacity
2. Increase erythropoietin level
3. Increase RBC count
4. Ocular congestion

Correct answer: 2. Increase erythropoietin level

Explanation: Ans. is 'b' increased erythropoietin level. In polycythemia Vera increase in erythrocytes occur without any increase in level of erythropoietin. In fact erythropoietin level is decreased due to feedback by increased erythrocytes.